Which disease comes under International Surveillance?
1. Typhoid fever
2. Salmonellosis
3. Chikungunya fever
4. Hepatitis B

Correct answer: 2. Salmonellosis

Explanation: Diseases under WHO surveillance Polio Rabies Relapsing fever Influenza Salmonellosis Malaria Louse born typhus Ref : Park's Textbook of Preventive and Social Medicine; 24th edition